True about DNA polymerase in eukaryotesa) Components are α, β, γ, δ, εb) β associated with repairc) γassociated with repaird) Δ associated with synthesis of mitochondria DNAe) Alpha is abundant amount
1. ac
2. ab
3. ad
4. bc

Correct answer: 2. ab

Explanation: There are 5 types of DNA polymerases in eukaryotes α, β, γ, δ and ε.
DNA repair is done by DNA β and mitochondrial DNA synthesis involves DNA- γ